Fibronectin in fetus indicates:
1. Post dated pregnancy
2. Preterm labor
3. Pre-eclampsia
4. None

Correct answer: 2. Preterm labor

Explanation: Preterm labor